Arc-C-5 in Countercurrent electrophoresis of Serum is diagnostic of-
1. Cysticercosis
2. Cryptococcosis
3. Hydatidosis
4. Brucellosis

Correct answer: 3. Hydatidosis